During valsalva maneuver, impaired heart rate changes seen in -
1. Homer's syndrome
2. Autonomic insufficiency
3. Vestibular dysfunction
4. Cephalic ischemia

Correct answer: 2. Autonomic insufficiency